Agent causing malignant hyperthermia is?
1. Succinylcholine
2. N2O
3. Dantrolene sodium
4. Gallamine

Correct answer: 1. Succinylcholine

Explanation: Ans. (a) SuccinylcholineRef.: Goodman and gillman p 152, 11/e, lee 13/e, p 352-54, Morgan 3/e, p 869 see details of malignant hyperthermis and anesthesia December 2011